Fistula test stimulates
1. Lateral semicircular canal
2. Posterior semicircular canal
3. Anterior semicircular canal
4. Cochlea

Correct answer: 1. Lateral semicircular canal

Explanation: Fistula test: It induces nystagmus by producing pressure changes in the external canal which are then transmitted to labyrinth Normally the test is negative as the pressure changes in the external canal cannot be transmitted to labyrinth It is positive in the presence of the fistula which is attached to the lateral semicircular canal Ref: Dhingra 7e pg 43, internet sources.